ECG finding in Hypokalemia is
1. Absent P wave
2. Prominent U wave
3. ST elevation
4. T wave tnting

Correct answer: 2. Prominent U wave

Explanation: (Prominent 'U' wave): (439-Davidson 21st)HyperkalemiaHypokalemia1. Earliest changes increased T wave amplitude**- Early changes flattening or inversion of T wave **2. Prolong PR interval and QRS duration- Prominent 'U' wave**3. AV conduction delay, loss of P wave- ST segment depression, prolong QU interval4. Sin wave pattern** (progressive widening of the QRS complex merging with T wave)- Prolonged PR interval, decreased voltage and widening of the QRS complex** Prolong QT interval - Hypocalcemia, SAH** Short QT interval - Hypercalcemia, digitalis glycosides